Radiocontrast is contraindicated in all except-
1. Renal failure
2. Patient on metformin
3. Dehydration
4. Obesity

Correct answer: 4. Obesity

Explanation: Ans. is 'd' i.e., Obesity o Renal failure and dehydration are risk factors for contrast induced nephropathy.Metformin causes increase risk of developing contrast induced nephropathy and subsequent lactic acidosis "___Genitourinary' radiologyAdverse reactions to radiocontrast agentso Two important reactions to radiocontrast agents are : -Acute non-renal adverse reaction These may be of two types : -Allergic/Anaphylactic : Non IgE mediated anaphylactic reaction e.g., Tachycardia with hypotension, urticaria, and bronchospasm.Vasomotor/vasovagal reaction : e.g.. Bradycardia.Renal reaction : Contrast induced nephropathy : - Contrast media are excreted by Kidney and contrast media can precipitate renal failure. The risk factors for contrast induced nephropathy are# Renal insufficiency# Nephrotic syndrome# Transplanted kidney# Diabetes# Concomitant hypotension# Hyperuricemia# Old age# Medications (NSAIDs, aminoglycoside)# Proteinuria# Dehydration# Hypertension# Anemia# Patient on metformin